Which of the following is silent thyroiditis?
1. Acute thyroiditis
2. Subacute thyroiditis
3. Hashimoto thyroiditis
4. Post-partum thyroiditis

Correct answer: 4. Post-partum thyroiditis

Explanation: Silent thyroiditis / Post-Partum thyroiditis It is an autoimmune mediated destruction of gland. It occurs after 3-6 months post-partum in about 5% of pregnancies. Patient first develops thyrotoxicosis which is followed by hypothyroidism and then resolution. It is characterised by: Normal ESR and presence of TPO antibodies RAIU is supressed No role of steroids Recovery is the rule